Investigation that is done for intestinal obstruction is?
1. Chest X Ray
2. X ray abdomen supine
3. X ray abdomen lateral
4. Barium meal

Correct answer: 2. X ray abdomen supine

Explanation: ANSWER' (B) X ray abdomen supineREF: Sabiston 17th edition page 1357, Bailey & love 24th edition page 1189Investigations for intestinal obstruction:X ray: (according to bailey: supine abdominal films are preferred. According to sabiston erect and supine views are preferred)Barium studies: done for large bowel obstruction and contraindicated in acute obstructionCT scan: helpful in identifying location and cause of obstruction.